Which of the following statements is FALSE regarding drugs used in the treatment of Parkinsonism?
1. Amantadine causes ankle edema
2. Levodopa is effective in reducing tremors
3. Amantadine is more effective than levodopa
4. Anti-muscarinic agents are effective in drug induced Parkinsonism

Correct answer: 3. Amantadine is more effective than levodopa

Explanation: Levo-dopa is very effective in the treatment of Parkinsonism. It initially resolves hypokinesia and rigidity but later on tremors are also reduced. It is more effective than amantadine. Amantadine is an antiviral drug that can be used in Parkinsonism. Central anticholinergic drugs are the agents of choice for the treatment of drug-induced Parkinsonism.